Most important investigation for posterior urethral valve is –
1. Urethroscopy
2. IVP
3. Retrograde cystogram
4. Micturating cystogram (MCU)

Correct answer: 4. Micturating cystogram (MCU)

Explanation: Micturating cystourethrogram (MCU) provides the radiological basis for the diagnosis of posterior urethral valve.